Drug active against New Delhi beta lactamase producing strain:
1. Meropenem
2. Colistin
3. Cephalosporins
4. Penicillins

Correct answer: 2. Colistin

Explanation: Ans. b. ColistinRef: Harrison 19th E/P918New Delhi Metallo Beta lactamase-1 (NDM-1) gene codes for a beta lactamase that can degrade all the beta lactam drugs i.e. penicillins, cephalosporins, monobactams and carbapenems. Apart from this, organisms with NDM-1 gene have also genes for drug efflux and enzymes that can metabolize other drugs like fluoroquinolones, macrolides and chloramphenicol.The drugs effective against NDM-1 gene containing bacteria are tigecycline and colistin.This gene was initially found in Klebsiella, which is present in plasmid. Now this is being seen in other bacteria like enterobacter, salmonella and providencia.